Cyroglobulinemia is associated with:
1. Hepatitis A
2. Hepatitis C
3. Hepatitis B
4. Hepatitis D

Correct answer: 2. Hepatitis C

Explanation: HCV is the main cause of Essential mixed Cryoglobulinemia. Cryoglobulins have the ability to precipitate in cold temperature. The cryoprecipitates are immune complexes composed of HCV antigen and Ab.